Transport form of iron is
1. Transferrin
2. Ferritin
3. Apoferritin
4. Lactoferrin

Correct answer: 1. Transferrin